Which parts of cell cycle are fixed in durationa) GIb) G2c) Sd) M
1. c
2. d
3. bcd
4. ac

Correct answer: 3. bcd

Explanation: The time taken for S, G2 and M phases are similar for most cell types, occupying about 6, 4 and 2 hours respectively whereas the duration of G1 shows considerable variation as short as 2 hours in rapidly dividing cells i.e., embryonic tissue or longer than 12 hours in some adult tissue.